In an ideal restoration, gingival margin should be:
1. Below contact point but 1mm occlusal to gingival crest
2. Below contact point but at level of gingival crest
3. Below gingival crest
4. At contact point

Correct answer: 1. Below contact point but 1mm occlusal to gingival crest